Which histological type of uveal malignant melanoma has worst prognosis?
1. Spindle A
2. Spindle B
3. Epitheloid
4. Mixed

Correct answer: 3. Epitheloid

Explanation: Ans. c (Epitheloid uveal malignant melanoma). (Ref. Robbin Pathologic Basis of Diseases, 6th/l366)INTRAOCULAR MELANOMAS# Constitute the most common primary ocular malignancy in whites.# Choroidal melanoma are the most intraocular malignant tumors of eye in adults.# "Collar button" shaped tumor of choroid is classical.# Callender's classification for malignant uveal melanoma is:A. Spindle AB. Spindle BC. Epitheloid (most common & worst prognosis)D. Necrotic.